Pseudoisomorphic phenomenon is seen in -
1. Psoriasis
2. Lichen planus
3. Vitiligo
4. Plane Warts

Correct answer: 4. Plane Warts

Explanation: pseudo koebner's phenomenon:-Occurrence of new anisomorphic lesions in a linear fashion due to autoinoculation of virus along the lines of taruma. Seen in warts, molluscum contagiosum koebner's phenomenon:Occurrence of new isomorphic lesions over the site of trauma.Seen in psoriasis,Lichen planus ,Vitiligo. IADVL textbook of dermatology page 107